Framingham Heart study is an example of
1. Case control study
2. Cohort study
3. Cross sectional study
4. Interventional study

Correct answer: 2. Cohort study

Explanation: Framingham heart study is an example of a cohort study.Initiated in 1948, to study the relationship of a number of risk factors to the subsequent development of cardiovascular disease.The study showed an increased risk of CHD with increasing serum cholesterol levels in 45-54 age group.Risk factors have been found to include male sex, advancing age, high serum lipid concentrate, high blood pressure, cigarette smoking, diabetes mellitus, obesity, low vital capacity and certain ECG abnormalities.Park 23e pg: 80